Buprenorphine acts by following mechanism
1. Mu receptor antagonist
2. Kappa receptor antagonist
3. Mu receptor partial agonist
4. Kappa receptor partial agonist

Correct answer: 3. Mu receptor partial agonist